All are true regarding Endotracheal intubation except
1. Saturation not more than 90% after 2 min
2. CO2 in expired air
3. ET inserted under direct vision of glottis
4. Bilateral chest movement

Correct answer: 1. Saturation not more than 90% after 2 min

Explanation: Endotracheal Tube Intubation:- - When the expiratory gas passes through the tube (hot & humidified) leaves vapour on the tube (tube has gone into trachea)- Tube has Radiopaque blue line on it which can be seen by X-ray- Earlier 90% saturation,if it continuously starts dropping suspects that tube is not in the Respiratory tract- Best way for confirmation - Capnography